What is oligospermia?
1. Sperm count < 20 million/ c.mm
2. Absence of sperms
3. Absence of semen
4. Decreased spermatogenesis

Correct answer: 1. Sperm count < 20 million/ c.mm

Explanation: Ans: a (Sperm count <20 million/c.mm) Ref: Bailey, 24th ed,p. 1416; Shaw, 13th ed,p. 202Oligospermia (Oligozoospermia)- Mild - 10 - 20 million/ c.mm- Moderate -5-10 million/ c.mm- Severe - <5 million/ c.mmAspermia -no semen.(anejaculation)Azoospermia -no sperm in semenAsthenospermia -no motile sperm or diminished motilityNecrospermia -dead sperms (all sperms are nonmotile or nonviable)Teratospermia -abnormal morphology of spermsLeucocytospermia -increased white cells in semenOligoasthenoteratozoospermia -sperm variables all subnormalPolyzoospermia -count is more than 350 million/c.mmNormozoospermia -all semen parameters normal